Meningomyelocele patient after being operated developed hydrocephalus due to:
1. Arnold Chiari malformation
2. Injury to absorptive surface
3. Central canal injury
4. Arachnoidal block

Correct answer: 1. Arnold Chiari malformation

Explanation: Type II Chiari malformation is characterized by progressive hydrocephalus with a myelomeningocele.